Daughter cells formed from the cleavage of zygote are
1. Morula
2. Gastrula
3. Blastula
4. Blastomere

Correct answer: 4. Blastomere

Explanation: Zygote first divide into blastomere, 16 cell stage is known as Morula.